All of these are true for home bleach, except
1. Dentist prescribed home technique
2. It contains 10-15% carbamide peroxide
3. Bleaching both arches at one time is preferred
4. Patient compliance is needed

Correct answer: 3. Bleaching both arches at one time is preferred